Botulin acts by:
1. Secretion of Ach
2. 1Synthesis of Ach
3. Inhibits Ach release
4. Muscle nerve block

Correct answer: 3. Inhibits Ach release

Explanation: Inhibits Ach release